Upper GI endoscopy and biopsy from lower esophagus in a 48 year old lady with chronic heart burn shows presence of columnar epithelium with goblet cells. The feature is most likely consistent with
1. Dysplasia.
2. Hyperplasia.
3. Carcinoma in-situ
4. Metaplasia.

Correct answer: 4. Metaplasia.

Explanation: Ans is 'd' i.e. Metaplasia Normally esophagus has squamous epithelium* . Presence of another type of epithelium i.e. (columnar) in esophagus indicates metaplasia. Metaplasia is an abnormality of cellular differentiation in which one type of mature cell is replaced by a different type of mature cell. (and the latter is not normal for the tissue involved) Other questions on metaplasia: ? Metaplasia is reversible* Metaplasia most commonly involves epithelium Metaplastic tissue is structurally normal and itself carries no increased risk of development of cancer. Dysplasia is abnormality of both differentiation and maturation. It is characterized by: ? a) Nuclear abnormalities - increased nuclear: cytoplasmic ratio* - hyperchromatism* - abnormal chromatin distribution (chromatin clumping) b) Cellular pleomorphism *(variation in size and shape of cells) c) Mitotic figures are seen in many layers of the epithelium in contrast to the normal state, in which mitosis in limited to the basal layer. d) Dysplasia is reversible* Carcinoma in situ ? - When the dysplastic changes involve the entire thickness of the epithelium, it is referred to as carcinoma in situ Hyperplasia is an increase in the size of a tissue as a result of increased number of component cells. eg. breast hyperplasia in pregnancy and lactation*. Prostate hyperplasia in older men., Thyroid hyperplasia in Graves disease.